Sclerosis of bone is seen in all except:
1. Flurosis
2. Osteopetrosis
3. Secondaries from prostate
4. Hyperparathyroidism

Correct answer: 4. Hyperparathyroidism

Explanation: Ans: d (Hyperparathyroidism)Ref: Apley's, 8th ed, p. 125, 147-148, 194, 123